The drug used to stop the growth of prostate in a 70 year old male with Benign hyperplasia of prostate is
1. Spironolactone
2. Ketoconazole
3. Finasteride
4. Flutamide

Correct answer: 3. Finasteride

Explanation: Ans. (c) FinasterideRef. Pharmacology Gobittd Sparsh /135Most of the actions of testosterone are mediated by its conversion to DHT by 5-alpha reductase. Important amongst these are growth of prostate, male pattern baldness and hirsutism in females. Finasteride and dutasteride are 5- alpha reductase inhibitors useful in the treatment of BHP, male pattern baldness and hirsutism by reducing the production of DHT.Note: Flutamide and Nilutamide act as antagonists of androgen receptors. These are useful for the treatment of prostatic carcinoma. Flutamide can cause gynaecomastia and reversible liver damage.